The technique of Psychological autopsy is useful in studying the causation of
1. Schizophrenia
2. Personality disorders
3. Drug dependence
4. Suicide

Correct answer: 4. Suicide

Explanation: Etiology: Some of the common causes of suicide are: Psychiatric Disorders are a major cause of suicide. Some common causes are: Depression: Major depression Depression secondary to serious physical illness. Reactive depression, secondary to life stressors, e.g. family and/or marital disputes, failure in goal achievement, occupational and financial difficulties, and death of significant others. Alcoholism and drug dependence Schizophrenia Genetic factors (a concordance rate of 18% in monozygotic twins) and biochemical factors (low levels of 5-HIAA) are important in some case of suicide.